The commor'est cause of hypopyon is:
1. Moraxella
2. Gonococcus
3. Pneumococcus
4. Staphylococcus

Correct answer: 3. Pneumococcus

Explanation: Ans. Pneumococcus